Regarding obsessive compulsive disorder, which of the following is true?
1. Most common obsession is obsession of contamination
2. Most common compulsion is compulsion of checking
3. Obsession is a disorder of possession of thought
4. All the above are true

Correct answer: 4. All the above are true

Explanation: All the three statements are correct. Please remember that, obsessions are disorders of 'possession' of thought. In some cases, possession is not in the option, in that scenario, the second best answer is, content of thought